A buffer that is most effective at a pH of about 4.5 is -
1. Acetate buffer
2. Bicarbonate buffer
3. Phosphate buffer
4. Tris buffer

Correct answer: 1. Acetate buffer

Explanation: A buffer system is most effective when the pH of the system is near its pka value.